Which of the following is not a coagulative necrosis -
1. Myocardial infarct
2. Kidney infarct
3. Brain infarct
4. Adrenal infarct

Correct answer: 3. Brain infarct

Explanation: Ans. is 'c' i.e., Brain infarct